Vertebra plana is seen in – a) Eosinophilic granulomab)  Traumac) Paget's diseased) Malignancy
1. acd
2. abd
3. abc
4. ab

Correct answer: 2. abd